As compared to unfractionated heparin, low molecular weight heparins:
1. Are absorbed more uniformly when given subcutaneously
2. Require more frequent laboratory monitoring
3. Can be given to patients with heparin induced thrombocytopenia
4. Predispose to a higher risk of osteopenia

Correct answer: 1. Are absorbed more uniformly when given subcutaneously

Explanation: Unlike unfractionated heparin, LMW heparins have more consistent bioavailability as they get absorbed uniformly when given s.c. and thus do not require monitoring.
Adverse effects of both types of heparins are similar.
Both are contra-indicated in heparin-induced thrombocytopenia where the agent of choice is direct thrombin inhibitors like lepirudin.